ASA classification is done for
1. Fasting
2. Risk
3. Pain
4. Lung capacity

Correct answer: 2. Risk